Smokeless gunpowder is composed of:
1. KMnO4
2. HCN
3. Nitrocellulose
4. Sulfur

Correct answer: 3. Nitrocellulose

Explanation: Ans. Nitrocellulose